18-FDG stands for:
1. 18-FI uorodeoxy glucose
2. 18-Fluorodioxy glucose
3. 18-Fluorodeoxy galactose
4. 18-Fluorodioxy galactose

Correct answer: 1. 18-FI uorodeoxy glucose

Explanation: Ans: A (18-FIuorodeoxy...) POSITRON EMISSION TOMOGRAPHY (PET) L & B 25th/ 136-37# PET is an extension of nuclear medicine, in which a positron-emitting substance such as 18F is tagged and used to assess tissue metabolic characteristics.# Nuclear medicine also differs from other means of imaging, which are largely anatomically based, as it also provides functional information.# The most commonly used radiolabelled tracer is 18F-2- fluara-2-deoxy-D-ghicose (FDG), although other tracers can also be used in order to assess metabolic functions such as oxygen and glucose consumption and blood flow.